A child was brought to OPD with red follicular hyperkeratotic papules over knee.These are areas of normal skin in between.The child also has thickening of palms & soles.The most likely diagnosis is
1. Pityriasis rosea
2. Lichen nitidus
3. Pityriasis rubra pilaris
4. Lichen planus.

Correct answer: 3. Pityriasis rubra pilaris

Explanation: Red follicular hyperkeratotic lesions with "islands of sparing" and keratoderma(thickened palms & soles) points out to the diagnosis of Pityriasis rubra pilaris.